2ndpa of duodenum is derived from ?
1. Foregut
2. Midgut
3. Both foregut & midgut
4. Hindgut

Correct answer: 3. Both foregut & midgut

Explanation: Both foregut & midgut